Which of the following statement best describes the mechanism of action of insulin on target cells
1. Insulin binds to cytoplasmic receptor molecule and is transferred as a hormone receptor complex to the nucleus where it acts to modulate gene expression.
2. Insulin binds to a receptor molecule on the outer suace of the plasma membrane and the hormone receptor complex activates adenylate cyclasel through the Gs protein.
3. Insulin binds to a transmembrane receptor at the which outer suace of the plasma membrane, activates the tyrosine kinase that is the cytosolic domain of the receptor.
4. Insulin enters the cell and causes the release ofcalcium ions from intracellular stores.

Correct answer: 3. Insulin binds to a transmembrane receptor at the which outer suace of the plasma membrane, activates the tyrosine kinase that is the cytosolic domain of the receptor.

Explanation: Ref-Goodman and Gilman 12/e p1241) Enzymatic Receptors have two sites, the drug binds on the extracellular site and the intracellular site has enaymatic activity (mostly tyrosine kinase) This enzyme can be activated AK-STAT pathway. Insulin, growthormone, prolactin and cvtokines act enrvmatic receptors.